Most cardiotoxic local anesthetic agent is?
1. Lignocaine
2. Procaine
3. Mepivacaine
4. Bupivacaine

Correct answer: 4. Bupivacaine

Explanation: Ans is 'd' i.e. Bupivacaine * Bupivacaine is the most cardiotoxic local anesthetic.* Levobupivacaine (The S(-) enantiomer of bupivacaine) is less cardiotoxic and less prone to cause seizure.Other important information about Bupivacaine (Sensoricaine, Marcaine)* Bupivacaine is 2nd most commonly used local anesthetic (after lidocaine).* Bupivacaine has the highest local tissue irritancy amongst local anesthetics.* Concentrations used for bupivacaine are : - Nerve block : 0.5%, Epidural: 0.25 - 0.5 % (WB 98)> and spinal : 0.5%.* Maximum safe dose is 2 mg/kg without adrenaline and 3mg/kg with epinephrine.